Upper lateral cutaneous nerve of arm is a branch of:
1. Musculocutaneous nerve
2. Radial nerve
3. Ulnar nerve
4. Axillary nerve

Correct answer: 4. Axillary nerve

Explanation: Upper lateral cutaneous nerve of arm is a branch of Axillary nerve